A 45 year old comes with symptoms of septic arthritis. What will be the most common cause in this patient?
1. Gonococcus
2. Staphylococcus aureus
3. Salmonella
4. Pneumococci

Correct answer: 2. Staphylococcus aureus

Explanation: Staphylococcus aureus is the most common (about 90%) organism isolated in septic arthritis in adults. In neonates joint sepsis is caused by S. aureus with group B streptococci being the next most common. In young children aged 2 months to 2 years, S. aureus, Streptococcus and Haemophilus influenza in an decreasing order. In young adults, S. aureus and N. gonorrhoeae are the most common organisms causing joint sepsis. In elderly people, S.aureus causes infection. Gram negative septic arthritis may occur in patients with sickle cell anemia.